A patient develops honey colored pustules on the skin. The diagnosis is?
1. Impetigo
2. Staphylococcal scalded skin syndrome
3. Carbuncle
4. Sycosis barbae

Correct answer: 1. Impetigo

Explanation: Ans. (a) ImpetigoThe usual organism is streptococcus pyogenes> staphylococcus Aureus